In Valvular Aortic Stenosis poorest prognosis in indicated when-
1. Angina occurs
2. Syncope occurs
3. Dyspnea occurs
4. Palpitation occurs

Correct answer: 3. Dyspnea occurs

Explanation: Aortic stenosis (AS or AoS) is the narrowing of the exit of the left ventricle of the heart (where the aorta begins), such that problems result. It may occur at the aortic valve as well as above and below this level.It typically gets worse over time. Symptoms often come on gradually with a decreased ability to exercise often occurring first If heart failure, loss of consciousness, or heart related chest pain occur due to AS the outcomes are worse.Loss of consciousness typically occurs with standing or exercise.Signs of heart failure include shortness of breath especially when lying down, at night, or with exercise, and swelling of the legs.Thickening of the valve without narrowing is known as aortic sclerosis It has poor prognosis when dyspnea occurs Ref Davidson 23rd edition pg 455